Tumour arising from diaphysis -
1. Osteogenic sarcoma
2. Ewing's sarcoma
3. Osteoclastoma
4. Osteochondroma

Correct answer: 2. Ewing's sarcoma